Structure not enclosed by carotid sheath -
1. Internal carotid artery
2. Vagus
3. Cervical sympathetic chain
4. Internal jugular vein

Correct answer: 3. Cervical sympathetic chain

Explanation: Carotid sheath contains ICA, IJV and vagus nerve. In upper part of sheath there are IX, XI, XII nerves also.